A 45-year-old man with a skull fracture of the temporal bone
1. Diffuse axonal injury
2. Acute extradural hematoma
3. Acute subdural hematoma
4. Tentorial herniation

Correct answer: 2. Acute extradural hematoma

Explanation: A temporal skull fracture crossing the middle meningeal artery grove with lucid interval are pathognomonic of an extradural hemorrhage.